Most common type of salivary neoplasm ?
1. Adenocystic cacinoma
2. Mixed cell parotid neoplasm
3. Epidermoid carcinoma
4. Adenocarcinoma

Correct answer: 2. Mixed cell parotid neoplasm

Explanation: Ans. is 'b' i.e., Mixed Cell Parotid tumor o Most common salivary gland tumor Pleomorphic adenoma (mixed tumor). o Most Common benign Salivary gland tumor Pleomorphic adenoma (mixed tumor). o Most Common malignant tumor of salivary gland Mucoepidermod Carcinoma o Most Common site of pleomorphic adenoma --> Parotid gland. o Most Common site of mucoepidermoid Carcinoma --> Parotid gland. o Most Common site for acinic cell ca - Parotid gland. o Most Common site for adenoid cytic Carcinoma Minor salivary glands. o Multifocal and bilateral Salivary gland tumor - Warthin tumor and acinic cell tumor o Salivary gland tumor with tendency to invade --> Adenoid cystic carcinoma. perineural space